Cysteine is formed from
1. Methionine and serine
2. Methionine and glycine
3. Alanine and glycine
4. Serine and glycine

Correct answer: 1. Methionine and serine

Explanation: Serin+Homocystein ------->Cysteine+Homoserin.Homocystein is synthesized from Methionine.Ref: DM Vasudevan - Textbook of Biochemistry, 7th edition, page no: 217, Fig no 16.15